What is the punishment that can be given under PCPNDT Act to the doctor for their 1st offence?
1. 3 yrs and Rs 10000/-
2. 5 yrs and Rs 10000/
3. 3 yrs and Rs 50000/-
4. 5 yrs and Rs 50000/-

Correct answer: 1. 3 yrs and Rs 10000/-

Explanation: As per PCPNDT Act 1994 (Pre conception Pre Natal Diagnostic Testing Act 1994) the doctor can be punished for 3 yrs and Rs 10000/- for 1st offence and 5 yrs and Rs 50000/- for the 2nd offence.